all the following are treatments used for PROMYLOCYTIC LEUKEMIA (m-3) EXCEPT?
1. ARSENIC
2. TRETINOIN
3. RETINOIC ACID
4. CISPLATIN

Correct answer: 4. CISPLATIN

Explanation: Acute Promyelocytic Leukemia * Without treatment, APL is the most malignant form of AML with a median survival of less than one month. * Modern therapy has dramatically changed its prognosis and APL is now associated with the highest proportion of AML patients who are cured of their disease. * APL represents a medical emergency with a high rate of early mortality, due mainly to hemorrhagic complications from a characteristic coagulopathy. * The first golden rule that has to be followed as soon as the diagnosis of APL is suspected based upon cytologic criteria is: to immediately start treatment with all-trans retinoic acid (ATRA) without delay, even before definitive (cyto)genetic confirmation of the diagnosis has been made. * If the diagnosis is not confirmed, ATRA can always be discontinued and treatment changed to that used for other types of AML. ref : robbins 10th ed